Air bronchogram on chest Xray denotes
1. Intrapulmonary lesion
2. Extrapulmonary lesion
3. Intrathoracic lesion
4. Extrathoracic lesion

Correct answer: 1. Intrapulmonary lesion

Explanation: A solitary pulmonary nodule (SPN) or coin lesion is a mass in the lung smaller than 3 centimeters in diameter.
It can be an incidental finding found in up to 0.2% of chest X-rays and around 1% of CT scans.